Parakeratosis most frequently occurs in which of the following?
1. Actinic keratosis
2. Seborrheic keratosis
3. Molluscum contagiosum
4. Basal cell carcinoma

Correct answer: 1. Actinic keratosis

Explanation: Parakeratosis - retention of nucleus in stratum corneum Parakeratosis is seen in - PEA'S2 - Psoriasis- Eczema- Actinic keratosis- Seborrheic dermatitis- Squamous cell carcinoma Seborrheic keratosisIt is benign, presents with keratotic papules with stuck on appearance and these lesions suggest underlying malignancy like gastric adenocarcinoma.Also k/a Leser-Trelet sign Actinic keratosis It is premalignant condition, keratotic papules seen over sun exposed areas